About Diaphragmatic injury, true statement is -
1. T/t is conservative
2. Resolves spontaneously
3. Left side is more common
4. Associated with pneumothorax

Correct answer: 3. Left side is more common

Explanation: Diaphragmatic rupture is more common on the left side.
Cause -
The right diaphragm is protected by two mechanisms:
The liver on the right and the heart in the centre have a buffering effect that diffuses the sudden increase in intraabdominal pressure.
Diaphragmatic Injuries
Diaphragmatic injuries are often caused by penetrating injuries. Patients sustaining penetrating injuries below the nipples and above the costal margins should be investigated to rule out diaphragmatic injury. Blunt injury to the diaphragm is usually caused by a compressive force applied to the pelvis and abdomen. the diaphragmatic rupture is usually large, with herniation of the abdominal contents into the chest. Herniation occurs as a result of the pressure differential between the thoracic and abdominal cavity. Most diaphragmatic injuries are silent and the presenting features are those of injury to the surrounding organs. The most accurate investigation is by video-assisted thoracoscopy (VATS) or laparoscopy. Operative repair is recommended in all cases. All penetrating diaphragmatic injury must be repaired via the abdomen and not the chest, to rule out penetrating hollow viscus injury.